Which is false about hydrocele?
1. Almost always fluid is transudate
2. Get above the swelling
3. Testis is separate from swelling
4. Obscures inguinal hernia

Correct answer: 3. Testis is separate from swelling

Explanation: The fluid of the hydrocele surrounds the body of the testis making the testis impalpable. If one can feel the testis separate from the scrotal swelling then the swelling is not a hydrocele but may be a cyst of the epididymis or spermatocele. Reference : page 625 A manual on clinical surgery Das 10th edition